All are in cystinuria except
1. Cystine
2. Ornithine
3. Alanine
4. Arginine

Correct answer: 3. Alanine

Explanation: Cystinuria is one of the inborn errors of metabolism. It is autosomal recessive disorder. The disorder is attributed to the deficiency in transport of amino acids. Abnormal excretion of cysteine and to a lesser extent lysine, ornithine and arginine. Hence the condition is also known as Cysteine-lysinuriaRef: DM Vasudevan - Textbook of Biochemistry, 7th edition, page no: 219